A patient has a fear that his penis will retract into abdomen and  that may result in his death. Diagnosis
1. Koro
2. Latah
3. Dhat syndrome
4. Cotard syndrome

Correct answer: 1. Koro

Explanation: It is a culture bound delusional disorder where a person believes his sex organs retract, disappear & lead to death.